Selective medium for Naegleria fowleri -
1. Nutrient agar rich with E. coli
2. NNN media
3. Non Nutrient agar with E. coli
4. Diamond media

Correct answer: 3. Non Nutrient agar with E. coli

Explanation: Option 2 NNN ( Novy-MacNeal-Nicolle) Media is used for culture of Leishmania and Trypanosoma. Option 3 CSF sample can be cultivated on nonnutrient agar (Page's saline and 1.5% agar), lawn cultured with E. coli. Naegleria feeds on bacteria and crawls over the lawn culture of E. coli to produce trails. Option 4 Diamond media (Axenic culture): it is used for isolation of Trichomonas and Entamoeba histolytica.